A pregnant woman who underwent syphilis testing showed positive results for VDRL but negative for specific treponemal tests. Interpret the results
1. Positive for syphilis
2. Biological false positive
3. False negative
4. Positive for non pathogenic Treponema

Correct answer: 2. Biological false positive

Explanation: Pregnancy can give rise to false-positive VDRL. BFP (biological false positive reactions) is defined as positive reactions obtained in non-specific treponemal tests (RPR, VDRL)with negative results in specific treponemal tests, in the absence of past or present treponemal infections and not caused by technical faults. Chronic Biological False Positive reactions are seen in SLE Leprosy Malaria Relapsing feve r Infectious mononucleosis Hepatitis Tropical eosinophilia Reference: Ananthanarayan and Paniker's Textbook of Microbiology Tenth edition